Organophosphorous compounds act by which of the following?
1. Stimulating Acetyl choline esterase
2. Inhibiting Acetyl choline esterase
3. Blocking Acetyl choline receptors
4. None

Correct answer: 2. Inhibiting Acetyl choline esterase

Explanation: Ans. b (Inhibiting Acetyl choline esterase). (Ref. Parikh, Textbook of FMT, 5th/892)ORGANOPHOSPHOROUS COMPOUND POISONING# It produces cholinergic syndrome (muscarinic and nicotinic effects).# Muscarinic effects include:- bradycardia, bronchorrhoea, lacrimation, sweating, hyperperistalsis, wheezing, salivation, incontinence and miosis (pin point pupils).- Hint:* Salivation* Lacrimation* Urinary incontinence* Decreased heart rate* GI symptoms* Excessive sweating and elation# Nicotinic effects include:- initial hypertension,- tachycardia,- fasciculations,- muscle weakness,- agitation and anxiety.# 'Red tears' is also its feature.